Which of the following is the best technique to screen neonates for inherited metabolic disorders
1. Tandem mass spectrometry
2. Northern Blotting
3. PCR
4. ChIP technique

Correct answer: 1. Tandem mass spectrometry

Explanation: Tandem mass spectrometry is a technique in which compounds are separated by molecular weight by one mass spectrometer, fragmented as they exit, and identified on the basis of their fragments by a second mass spectrometer.